What is average birth weight at 2 years?
1. Double of birth weight
2. Thrice birth weight
3. Four times of birth weight
4. Six times birth weight

Correct answer: 3. Four times of birth weight

Explanation: Ans. is 'c' i.e., Four times of birth weight AgeWeightBirth3 Kg5 months6 Kg (2 x birth weight)I year9 Kg (3 x birth weight)2 years12 kg (4 x birth weight)3 years15 kg (5 x birth weight)5 years18 kg (6 x birth weight)7 years21 kg (7 x birth weight)10 years30 kg (10 x birth weight)